Tricholemmoma are :
1. Ectopic tuft of hair on face.
2. Teratoma of ovary containing mainly hair.
3. Adnexal tumors of skin that differentiate towards hair follicles.
4. Psychiatric illness in which patient picks on hair of skin.

Correct answer: 3. Adnexal tumors of skin that differentiate towards hair follicles.

Explanation: Ans. C. Adnexal tumors of skin that differentiate towards hair follicles.TricholemmomaThese are skin colored adnexal tumors of skin that differentiate towards hair follicles.Presence of multiple tricholemmoma on face & cobblestoning of oral mucosa point towards the diagnosis of Cowden's disease.Internal organ involvement includesFibrocystic diseaseCa breastAdenoma & Ca thyroidKeratosis of palms, dorsum of hands & soles also seen.